Which of the following is a non-reducing sugar -
1. Glucose
2. Lactose
3. Maltose
4. Sucrose

Correct answer: 4. Sucrose

Explanation: Ans. is 'd' i.e., Sucrose Reducing sugarsNon-reducing sugarso All monosaccharides (glucose, fructose, galactose)o Diasaccharide : Lactose, maltose, cellobiose, melibiose o Diasaccharide: Sucrose, trehelose